Which one of the following is NOT a feature of severe pre-eclampsia ?
1. BP 160/110 mmHg
2. Visual disturbances
3. Oliguria
4. Thrombocytosis

Correct answer: 4. Thrombocytosis

Explanation: Indicators of severe pre- eclampsia. ABNORMALITY NON SEVERE SEVERE Diastolic BP <110 mm Hg >= 110 mm Hg Systolic BP <160 mm Hg >= 160 mm Hg Proteinuria none to positive none to positive Headache - + Visual disturbance - + Upper abdominal pain - + Oliguria - + Convulsion (eclampsia) - + Se. creatinine normal elevated Thrombocytopenia - present (<1 lakh/mcL) Se transaminase elevation minimal marked IUGR absent present Pulmonary edema absent present Gestational age late early